Scotochromogens are -
1. Mycobacterium gordonae
2. Mycobacterium marinum
3. Mycobacterium intracellulare
4. Mycobacterium avium

Correct answer: 1. Mycobacterium gordonae